All of the following are features of Paterson-Brown-Kelly syndrome, except:
1. Esophageal mucosal webs
2. Megaloblastic anemia
3. Glossitis
4. Cheilosis

Correct answer: 2. Megaloblastic anemia

Explanation: Paterson-Brown-Kelly syndrome also known as Plummer-Vinson syndrome: Iron deficiency anemia Atrophic glossitis, cheliosis Webs in upper 1/3rd of Esophagus Most commonly seen in middle aged females Risk factor for hypopharngeal squamous cell carcinoma